Primary Hyperparathyroidism is associated with -
1. Increased serum PTH and Hypercalcemia
2. Decreased serum PTH and Hypercalcemia
3. Increased serum PTH and Hyporcalcemia
4. Decreased serum PTH and Hyporcalcemia

Correct answer: 1. Increased serum PTH and Hypercalcemia

Explanation: Ans. is 'a' i.e., Increased serum PTH and Hypercalcemia HyperparathyroidismPTHSerum CalciumPrimaryIncreasedIncreasedSecondaryIncreasedNormal/lowTertiaryIncreasedIncreasedo Primary hyperparathyroidism refers to increased parathormone secretion due to primary pathology in parathyroid gland. Primary adenoma is the most common cause of primary hyperparathyroidism. Rise in parathormone causes increased osteoclastic activity, which resorbs the bone. Consequently, there is increased osteoblastic activity resulting in fibrous replacement of bone and consequent weakening. Parathormone causes increased calcium absorption and increased phosphate excretion by the kidney. The net result in:-i) | Calcium levelsii) | Phosphate levelsiii) | Alkaline phosphatase (due to increased osteoblastic activity).